All of the following statements about Nasopharyngeal carcinoma are true EXCEPT:
1. Bimodal age distribution
2. Nasopharyngectomy with radical neck dissection is the treatment of choice
3. IgA antibody to EBV is observed
4. Squamous cell carcinoma is the most common histological subtype

Correct answer: 2. Nasopharyngectomy with radical neck dissection is the treatment of choice

Explanation: Irradiation is the treatment of choice for nasopharyngeal carcinoma